Which is not increased in pregnancy :
1. Vital capacity
2. Blood volume
3. Extracellular fluid
4. Weight

Correct answer: 1. Vital capacity

Explanation: Vital capacity